Eye of a newborn is
1. Emmetrophic
2. Hypermetrophic
3. Myopic
4. Astigmatic

Correct answer: 2. Hypermetrophic

Explanation: Eye at birth Anteroposterior diameter - 16.5 mm (adult size is attained by 7-8 years). Corneal diameter- 10 mm. (Adult size - 11.7 mm- attained by 2 years). Anterior chamber - shallow and angle is narrow. Lens - spherical at birth. An infantile nucleus is present. Retina - Fully differentiated except for macula which differentiates by 4-6 months after birth. Myelination of optic nerve fibres has reached the lamina cribrosa. Newborn - usually hypermetropic by +2 to +3 D. Orbit - more divergent (50deg) as compared to adult (45deg). Lacrimal gland - underdeveloped and tears are not secreted. Postnatal period Macula - fully developed by 4-6 months. Fusional reflexes, stereopsis, and accommodation - well developed by 4-6 months. Cornea attains normal adult diameter by 2 years of age. Lens grows throughout life. Reference : Khurana Ophthalmology: 4th Edition Page 11.